Desmosomes are helpful in connecting –
1. Keratinocytes
2. Melanocytes
3. Dermis and epidermis
4. Langerhans cells

Correct answer: 1. Keratinocytes

Explanation: Desmosomes are the major adhesion complex in epidermis, anchoring keratin intermediate filaments (IFs) to the cell membrane and bridging adjacent keratinocytes, and allowing cells to withstand trauma.